Thyroid dose from panoramic radiography is about
1. 22 μGY
2. 34 μGY
3. 51 μGY
4. 74μGY

Correct answer: 4. 74μGY